Police inquest is required in all except:
1. Sucide
2. Accidental death
3. Dowry death
4. Murder

Correct answer: 3. Dowry death

Explanation: Ans. C: Dowry death In police inquest, sub-inspector or officer in charge of the police station conducts the inquest in suicide, murder, accidental deaths or death under suspicious circumstances. Magistrate inquest is done in: Custodial death Death due to police firing Death in prison Death in psychiatric hospital Dowry deaths Exhumation In dowry deaths inquest should be carried out by a magistrate or police officer not below the rank of deputy superintendent of police.